Ventouse extraction is done in all except :
1. Deep transverse arrest
2. Atter-coming head of breech
3. Delay in first stage due to uterine inertia
4. Delay in descent of high head in case of second baby of twins

Correct answer: 2. Atter-coming head of breech

Explanation: Atter-coming head of breech